Subepidermal bullae is seen in ?
1. Pemphigus vulgaris
2. Darriers disease
3. Bullous pemphigoid
4. HSV infection

Correct answer: 3. Bullous pemphigoid

Explanation: Ans. is 'c' i.e., Bullous pemphigoid